Delusion is not a feature of?
1. Depression
2. Anxiety
3. Schizophrenia
4. Mania

Correct answer: 2. Anxiety

Explanation: Ans. is 'b' i.e., Anxiety Delusion* A delusion is false, firm (unshakeable) belief that is not accepted by other members of patient's culture and society.* To the patient, there is no difference between a delusional belief and a true belief-they are same experience. Therefore, only external observer can diagnose a delusion.* The delusion is false because of faulty reasoning.* It is out of keeping with the patient's social and cultural background.* It is firmly held (unshakable) despite objective and obvious contradictory proof or evidence, and despite the fact that other members of culture do not share the belief.* Delusions are seen in psychosis (Schizophrenia, Mania, depression, other psychotic disorder-delusional disorders and schizoaffective disorders) and organic mental disorders (Delirium, substance abuse or withdrawal).* Delusions are not seen in neurosis Anxiety, obsessive - compulsive disorder, Dissociative (conversion) disorders, somatoform disorders, stress related disorders